Which of the following procedure is associated with maximum chance of recanalization during surgery for reversal of tubal ligation:
1. Isthumo-isthmic anastomosis
2. Isthumo-ampullary anastomosis
3. Ampullo-ampullary anastomosis
4. Cornual obstruction

Correct answer: 1. Isthumo-isthmic anastomosis

Explanation: Read the following lines
“It is important to select the site of tubal ligation carefully which should ideally be done at the tubal isthmus. This is because in the event of the patient desiring a tubal recanalization procedure, the isthmo-isthmic anastomosis carries the best chances of success”.